Bladder is most likely to be injured when it is ?
1. Half
2. Full
3. Empty
4. None

Correct answer: 2. Full

Explanation: Ans. is 'b' i.e., Full o "Intraperitroneal bladder rupture occurs d/t injuries located at dome which occurs when a full bladder sustains a direct blow".